Relative contraindication of ECT is -
1. Raised Intra-Cranial Tension
2. Vascular Dementia
3. Diabetic Retinopathy
4. Peripheral Neuropathy

Correct answer: 1. Raised Intra-Cranial Tension

Explanation: Ans. is A Cerleti and Bini discovered electro convulsive therapy (ECT) Unilateral ECT is safer than the bilateral ECT, but the bilateral ECT is superior to unilateral ECT in effectiveness. Direct ECT is given in absence of muscle relaxant and G.A. and is only rarely used. Modified ECT is given with drug (suxamethonium) induced muscle relaxation and anaesthesia (thiopentone sodium). Indication of ECT Major severe depression With suicidal risk (first and most important indication for ECT) With stupor With poor intake of and food Severe catatonia (functional) With stupor With poor intake of fluid and food Severe psychosis (schizophrenia or mania) With risk of suicide, homicide or danger of physical assault Organic mental disorders Medical Disorders Organic catatonia Hypopituitarism Intractable seizure disorder Neuroleptic malignant syndrome Parkinsonism Some other indications of ECT Acute schizophrenic episode Postpartum psychosis Mania in I st trimester pregnancy Delirium tremens Bipolar mood disorder Depressive stupor Contraindications of ECT Absolute contraindication * None Relative contraindications a. Raised intracranial tension b. Recent myocardial infarction c. Cerebrovascular accident (CVA) Pregnancy and epilepsy are not contra indication of ECT Side effects of ECT Headache, bodyache and vomiting Confusion Amnesia (anterograde and retrograde both) Death (due to ECT is because of myocardial infarction).